Mixed tumours of the salivary glands are
1. Most common in submandibular gland
2. Usually malignant
3. Most common in parotid gland
4. Associated with calculi

Correct answer: 3. Most common in parotid gland